Pretrematic nerve of 1st pharyngeal arch is
1. Vagus nerve
2. Glossopharyngeal
3. Chorda tympani
4. Trigeminal

Correct answer: 3. Chorda tympani

Explanation: Pharyngeal Arch Nerves: Nerve of 1st arch - Mandibular division of trigeminal nerve Pretrematic nerve - Chorda tympani & greater petrosal nerves (purely sensory) of facial nerve. Nerve of 2nd arch - Facial nerve Pretrematic nerve - Tympanic branch of glossopharyngeal nerve. Nerve of 3rd arch - Glossopharyngeal nerve Pretrematic nerve - auricular branch of vagus nerve Nerve of 4th arch - Pharyngeal branch of vagus nerve Nerve of 6th arch - Recurrent laryngeal branch of vagus nerve.